True about gastric lymphoma -
1. Non Hodgkins lymphoma commonest variety
2. Diagnosis is made by biopsy
3. H-Pylori has direct relationship
4. All

Correct answer: 4. All

Explanation: Ans. is 'a' i.e., Non Hodgkins lymphoma commonest variety; 'b' i.e., Diagnosis is made by biopsy; `c' i.e., H-Pylori has direct relationship Gastric lymphoma The stomach is the most common site for extranodal lymphoma. o Nearly all gastric lymphomas are B-cell lymphomas of mucosa-associated lymphoid tissue (MALT lymphoma) o Majority of cases (80%) are associated with chronic gastritis and H. Pylori infection. o The most striking evidence linking H. Pylori gastritis to MALToma is that eradication of infection by antibiotics induces durable remission with low rate of recurrence. o Gastric lymphoma represents 5% of all gastric malignancies. It is most prevalent is sixth decade of life. o Like other tumors of mature B cells, MALTomas express B-cell markers CD 19 and CD 20. They do not express CD 5, CD 10 and CD 23. o Diagnosis is made by endoscopic biopsy. o Gastric lymphomas are chemosensitive and chemotherapy alone or along with surgery is used for the treatment of gastric lymphoma. About option 'a' o Most common variety of gastric lymphoma is NHL (MALToma). Very rarely, Hodgkin's lymphoma may also occur in stomach.